Which nerves exit the pontomedullary junction?
1. 4,5,6
2. 5,6,7
3. 6,7,8
4. 8,9,10

Correct answer: 3. 6,7,8

Explanation: C.N. VI,VII and VIII exits at ponto-medullary junction. most medially 6th nerve and most laterally 8th nerve.